Which of the following drugs has maximum chances of absorption from gastric mucosa
1. Diclofenac sodium
2. Morphine sulfate
3. Hyoscine hydrobromide
4. Quinine dihydrochloride

Correct answer: 1. Diclofenac sodium

Explanation: Ref-Katzung 10/e p7,8 Diclofenac is an acidic drug and is non-ionized in the acidic medium of stomach.therefore,it has the maximum chances of absorption from the stomach.other drugs in the options are basic drugs that are ionized at gastric pH